Congo-red with amyloid produces -
1. Dark brown colour
2. Blue colour
3. Brilliant pink colour
4. Khaki colour

Correct answer: 3. Brilliant pink colour

Explanation: HARSH MOHAN TEXTBOOK OF PATHOLOGY SEVENTH EDITION Page no :67 By H&E staining amyloid appears as extracellular homogenous structureless eosinphilc material ; it stains positive with congo red staining and show apple gringe bitefringes on polarising microscopy